All are true about heparin except :
1. Antidote is protamine sulfate
2. Can be administered only in vivo
3. Cannot be given orally
4. Increases APTT

Correct answer: 2. Can be administered only in vivo